Henle's layer refers to the thickened outer plexiform layer in the region of:
1. Foveola
2. Foveal region
3. Parafoveal region
4. Paramacular region

Correct answer: 2. Foveal region

Explanation: Ans. Foveal region